only epithelium in the body in which type4 collagen is absent in basal lamina:
1. Oral epithelium
2. Sulcular epithelium
3. Gingival epithelium
4. Junctional epithelium

Correct answer: 4. Junctional epithelium